A 40 year old lady has ALP of 550, SGOT of 75, total serum Bilirubin = 6.5mg% and conjugated serum bilirubin of 4.3mg%. The diagnosis of patient is:
1. Dubin Johnson syndrome
2. Obstructive jaundice
3. Viral hepatitis
4. Cholelithiasis

Correct answer: 2. Obstructive jaundice

Explanation: Marker Normal value Interpretation Alkaline phosphatase 20-140 IU/L ELEVATED SGOT 5-40 units per liter Mild elevation Total serum bilirubin 0.3-1.2mg/dl Elevated Conjugated serum bilirubin 0.1-0.4mg/dl Elevated If only serum bilirubin is elevated and conjugated serum bilirubin is > 15% of total bilirubin then suspect Dubin Johnson and Rotor's syndrome If ALP is elevated with serum bilirubin proceed to USG to evaluate for cause of obstructive jaundice.